Ashley's rule of sternum helps in determining:
1. Race
2. Age
3. Sex
4. Stature

Correct answer: 3. Sex

Explanation: Ashley's rule of 149- Based on sternal length used for sex determination. STERNAL LENGTH Sex determination below 149 mm FEMALE above 149 mm MALE For Race identification cephalic index is used.